Oestrogen acts as what on bone
1. Bone matrix deposition
2. Antiresorptive agent on trabecular bone
3. Anti osteoblastic on compact bone
4. Resorptive agent on compact bone

Correct answer: 2. Antiresorptive agent on trabecular bone

Explanation: Oestrogen is anti resorptive agent on trabecular bone.